Ulnar paradox is seen in
1. High ulnar lesion
2. Low ulnar lesion
3. Triple nerve injuries
4. Combined ulnar and median nerve injuries

Correct answer: 1. High ulnar lesion

Explanation: Ulnar claw hand is seen in lower ulnar nerve palsy not Iin high ulnar nerve palsy It is called as ulnar paradox Ulnar paradox # Not severe claw hand deformity, but inability to flex DIP and weakness of flexing MCP & PIP of digits IV and V # Seen with higher nerve injuries (cubital tunnel syndrome) # More severe muscle impairment # FDP and lumbricals for digits IV and V are impaired, there is unopposed action of the Extensor digitorum Claw hand of the first and second finger Refer maheswari 9th ed